All are true about antenatal umbilical artery Doppler except?
1. Decreased diastolic flow of umbilical artery is suggestive of IUGR
2. S/D Ratio of umbilical artery is less than S/D ratio of Fetal MCA
3. S/D Ratio is decreased in smoking females
4. Reversal of diastolic flow in umbilical artery Doppler suggests impending Fetal demise

Correct answer: 3. S/D Ratio is decreased in smoking females

Explanation: S/D Ratio of umbilical artery Doppler is increased in smokers. Decreased, absent or reversal of diastolic flow on umbilical artery Doppler suggests fetal IUGR and impending Fetal death. Fetal MCA S/D ratio is normally more than S/D ratio of umbilical artery. Fetal MCA S/D ratio is less than S/D ratio of umbilical artery Doppler in IUGR.